In rheumatoid arthritis, pathology starts in the -
1. Articular cartilage
2. Capsule
3. Synovium
4. Muscles

Correct answer: 3. Synovium

Explanation: Major target in RA is synovium (synovial membrane) of the joint where the pathology starts.
Inflammation starts in the synovium and later also causes cartilage damage and bone erosion with subsequent change in joint integrity.